All of the following are functions of Angiotensin II, EXCEPT:
1. Vasodilation
2. Stimulation of thirst
3. Aldosterone secretion
4. Increased ADH secretion

Correct answer: 1. Vasodilation

Explanation: Angiotensin II causes vasoconstriction, not vasodilation. Angiotensin ll causes vasoconstriction by increasing the amount of Ca+ ions in the vascular smooth muscle cells. This rise in intracellular calcium complexes with calmodulin, which in turn activates myosin light chain kinase. which results in phosphorylating the light chain of myosin to stimulate cross bridge cycling which in turn causes vasoconstriction. Ref: Review of Medical Physiology By William F Ganong, 22nd Edition, Page 456; Textbook of Medical Physiology By Guyton and Hall, 10th Edition, Pages 201-203